Which of the following is major concern for overdenture fabrication
1. Reduced interarch space
2. Increased cost due to endodontic treatment and coping fabrication
3. Patient’s oral hygiene habits
4. More number of visits as compared to complete denture patients

Correct answer: 3. Patient’s oral hygiene habits

Explanation: Scrupulous hygiene accompanied by biannual professional monitoring is mandatory to ensure continued abutment health. Substantial part of it depends on patient's oral hygiene procedures and compliance.